GAG affected in Sanfilippo syndromes is
1. Dermatan sulfate
2. Heparan sulfate
3. Keratan sulfate
4. Chondroitin sulfate

Correct answer: 2. Heparan sulfate

Explanation: Disease name Abbretion Enzyme Defective GaG(s) affected Symptoms Sanfilippo syndrome A MPS IIIA Heparan sulfate-N-sulfatase Heparan sulfate Delay in development, motor dysfunction Sanfilippo syndrome B MPS IIIB a-N-Acetylglucosaminidase Heparan sulfate As MPS IIIA Sanfilippo syndrome C MPS IIIC a-Glucosaminide N-acetyltransferase Heparan sulfate As MPS IIIA Sanfilippo syndrome D MPS IIID N-Acetylglucosamine 6-sulfatase Heparan sulfate As MPS IIIA Reference: Harper; 30th edition; Page no:639; Table: 50-8